Raynaud's phenomenon what change is seen in vessels initial stage -
1. No change (Fibrinoid, Thrombosis)
2. Thrombosis
3. Fibrinoid necrosis
4. Hyaline sclerosis

Correct answer: 1. No change (Fibrinoid, Thrombosis)

Explanation: Structural changes in the arterial walls are absent except late in the course, when intimal thickening can appear.